Under AFP Surveillance, follow-up examination is done after
1. 15 days of onset of paralysis
2. 33 days of onset of paralysis
3. 60 days of onset of paralysis
4. 93 days of onset of paralysis

Correct answer: 3. 60 days of onset of paralysis

Explanation: 60-day follow-up in a case of Acute Flaccid Paralysis (AFP) :
The District Immunization Officer (DIO) must visit every case of AFP 60 days after onset of paralysis ‘to confirm the presence or absence of residual weakness’ – Activity completed before 70th day.